Vaccine which requires most stringent condition for storage-
1. DPT
2. OPV
3. BCG
4. TT

Correct answer: 2. OPV

Explanation: .oral polio vaccine is highly sensitive to varying temperatures.the cold chain temperature for storage of OPV are, routine storage at 2 to 8 degrees long term storage at -20 to-40 degrees ref:park's textbook,ed 22,pg no 138